Which of the following is a tripartite toxin?
1. Diphtheria toxin
2. Anthrax toxin
3. Botulinum toxin
4. Cholera toxin

Correct answer: 2. Anthrax toxin

Explanation: Anthrax toxin is tripartite toxin It consist of Edema factor Protective factor Lethal factor Diphtheria toxin made up of A and B fragments Active fragment causes ADP ribosylation of EF leads to inhibition of protein synthesis Botulinum toxin - it has anticholinergic action Cholera toxin - two component